Intranasal calcitonin used for:
1. Post menopausal Osteoporosis
2. Paget's disease
3. Secondary hypoparathyroidism
4. Hypercalcemia

Correct answer: 1. Post menopausal Osteoporosis

Explanation: Ref: Goodman eft Gillman, The pharmacological basis of therapeutics. 12th edition, Pp-1294.1298, 1300Explanation:In Paget's disease. Calcitonin is administered by subcutaneous route and intranasal spray is not preferred because of the limited bioavailabilitv.It reduces serum calcium and phosphate levels in paget's disease by retarding the osteoclastic activity.In post menopausal osteoporosis, once daily Calcitonin nasal spray is recommended.Bisphosphonates like second and third generation drugs are used for both prevention and treatment of osteoporosis.Alendronate. Risedronate and ibemdronate.Dinosumab, a monoclonal antibody which binds with the RANK ligand blocks the osteoclast activity, administered subcutaneously once in 6 months.Teriparatide can also be used in treatment of osteoporosis, acts by increasing the new bone formation.